Not true about Intracapsular neck fracture
1. < 1 inch shortening
2. < 45 degree of external rotation
3. Trivial trauma can cause fracture
4. Severe pain around hip

Correct answer: 4. Severe pain around hip